A lady has very unstable relation with her husband, always threatening to suicide infact she one time eat some poison, then diagnosis is -
1. Borderline personality disorder
2. Depression
3. Avoident personality disorder
4. None

Correct answer: 1. Borderline personality disorder